Massive splenomegaly with pancytopenia-
1. CLL
2. Pure red cell aplasia
3. CML
4. Myelofibrosis

Correct answer: 4. Myelofibrosis

Explanation: Chronic idiopathic myelofibrosis shows symptoms like anaemia, leukocytopenia, thrombocytopenia ,with massive splenomegaly ,hepatomegaly is present in half the cases. petechial and other bleeding problems are found in about 20% cases reference: textbook of Pathology 7th edition author Harsha Mohan page number 340